For optimum utilization of health services in a hospital, Bed turnover interval should always be
1. Slightly positive
2. Largely positive
3. Slightly negative
4. Largely negative

Correct answer: 1. Slightly positive

Explanation: Ans. (a) Slightly positive* Bed turn over interval: Amount of time beds at hospital are unoccupied until next patients' admission following a patients' discharge- Negative values: Indicate over 100% occupancy, scarcity of beds, over-utilization of services- Positive values: Indicate vacant beds, underutilization of services due to defective admission process or poor quality medical care- Slight positive values: Indicate optimum utilization of services